Generally recommended rubber dam is
1. Dark
2. Heavy
3. 6x6 inches
4. All of the above

Correct answer: 4. All of the above

Explanation: Generally, dark, heavy, 6 X 6 inch sheets are recommended